chemical burn can be caused by:
1. Aspirin
2. Silver nitrate
3. H2O2
4. All of the above.

Correct answer: 4. All of the above.